A male with azoospermia. On examination size of testis normal FSH normal testosterone normal. Most probable cause is
1. MAL descended testis
2. Klinefelter's syndrome
3. Kallmann's syndrome
4. VAS obstruction

Correct answer: 4. VAS obstruction

Explanation: A normal level of FSH in azoospermia suggests an obstructive lesion in the vas or epididymis. 
High FSH may indicate primary gonadal failure.